Most common malignancy in childhood is
1. Acute Lymphoblastic Leukemia (ALL)
2. Bone tumor
3. Wilm's tumor
4. Retinoblastoma

Correct answer: 1. Acute Lymphoblastic Leukemia (ALL)

Explanation: (A) Acute Lymphoblastic Leukomia (ALL) # LEUKEMIA is a cancer of the blood cells. It is the most common childhood cancer, accounting for almost one-third of all childhood cancers.# Types of leukemia include:> Acute Lymphoblastic Leukemia (ALL): Commonly referred to as "childhood leukemia", because it is the most common child- hood cancer. Almost 75% of children with leukemia have ALL, a cancer of the lymphoid cells in the bone marrow and the lymphoid organs of the body. They are involved in the body's immune system. Usually occurs between 2 and 8 years old.> Acute Myelogenous Leukemia (AML): AML (acute myeloid leukemia, acute nonlymphatic leukemia or ANLL) is cancer of the myeloid blood cells which are produced in the bone marrow and which help fight bacterial infections. Usually occurs in people over age 25, but sometimes affects teenagers and children. Wilm's tumour: also called Nephroblastoma, is a type of cancer that originates in the kidney. Wilm's tumour is the second most common type of all childhood solid tumours. Average age of diagnosis is between 2 and 3 years when the disease affects only one kidney, but often diagnosed at a younger age when both kidneys are involved.> Non-Hodgkin's Lymphoma: affects the lymph nodes that are found deep within the body and is the third most common childhood cancer. There are many types of lymphoma, including Burkitt's, non-Burkitt's, and lymphoblastic lymphoma. Most often in children between 2 and 10. More common in boys than girls.# Osteosarcoma is the most common type of bone sarcomas in children and the sixth most common malignancy in children. These tumours often start at the end of the bone. (This was the type of cancer that Terry Fox had). Occurs between the ages of 10 and 25.# Retinoblastoma is a malignant tumour of the retina (a thin membrane in the back of the eye). It is the most common type of eye cancer found in children. The tumour may be in one eye only or both. Most common in children younger than 5.# Neuroblastoma is a cancer of the sympathetic nervous system and the most common tumour outside of the brain. Generally occurs in children under the age of 5.